In alkaptonuria the urine contains
1. Hemogentisic acid
2. Phenylalanine
3. Ketonis
4. Acetates

Correct answer: 1. Hemogentisic acid

Explanation: Alkaptonuria is an autosomal recessive Condition. The metabolic defect is deficiency of homogentisate oxidase. this results in excretion of homogentisic acid in urine.Ref: DM Vasudevan - Textbook of Biochemistry for Medical Students, 7th edition, page no: 237